In a case of hanging, ligature mark is an example of:
1. Contusion
2. Pressure abrasion
3. Laceration
4. Burn

Correct answer: 2. Pressure abrasion

Explanation: LIGATURE MARK IN CASE OF HANGING IS AN EXAMPLE OF PRESSURE ABRASION Pressure abrasions are caused by crushing of the superficial layers of the epidermis Causative forces : Pressure abrasion: Ligature mark in hanging & strangulation Scratch abrasion: Fingernails, pin, thorn, tip of a knife Graze abrasion: Road traffic accidents Patterned abrasion: Tyre marks, Ligature mark.